True about thromboxane-A2 is?
1. Vasodilatation
2. Platelet aggregation
3. Potentiation of edema
4. Formed in endothelium

Correct answer: 2. Platelet aggregation

Explanation: Ans. is 'b' i.e., Platelet aggregation